The MOST COMMON causative organism for community acquired pneumonia is:
1. Streptococcus pneumoniae
2. Haemophilus influenzae
3. Mycoplasma pneumoniae
4. Chlamydia pneumoniae

Correct answer: 1. Streptococcus pneumoniae

Explanation: Although Streptococcus pneumoniae is most common pathogen causing community aquoired pneumonia. Data suggest that a virus may be responsible for up to 18% of cases of CAP that require admission to the hospital. Ref: Harrison, E-18,P-2131.